The following has high frequency:
1. Beta waves
2. Alfa waves
3. Teta waves
4. Delta waves

Correct answer: 1. Beta waves

Explanation: Beta waves has high frequency and low amplitude Delta waves has low frequency and high amplitude